In unilateral Afferent pupillary defect, when light in moved from normal to affected eye, there is:
1. Dilatation in affected side and constriction in normal eye
2. Dilatation in normal eye and constriction in affected side
3. Dilatation in both pupils
4. Constriction in both pupils

Correct answer: 3. Dilatation in both pupils

Explanation: C i.e. Dilation in both pupils